A patient of alcohlic liver faliure requires general anesthesia AOC is
1. Ether
2. Halothane
3. Isoflurane
4. Methoxyflurane

Correct answer: 3. Isoflurane

Explanation: C i.e. Isoflurane - IsofluraneQ is volatile anesthetic agent of choiceQ in patients with liver disease because it has the least effect on hepatic blood flow. - CisatracuriumQ is neuromuscular blocking agent of choiceQ owing to its unique non hepatic metabolism.